All of the following are contraindications to tocolysis except:
1. Chorioamnionitis
2. Fetal distress
3. Anencephaly
4. Placenta previa

Correct answer: 4. Placenta previa

Explanation: Ans. is d, i.e. Placenta previaRef. Dutta Obs. 7/e, p 319Contraindications to tocolysis* Chorioamnionitis* Advanced labor* Abruption* Congenital anomalies not compatible with life* Preeclampsia/eclampsia* Fetal distress* IUFD* Pregnancy >34 weeksAs far as placenta previa is concerned tocolysis is not contraindicated Management of patient with placenta previa and preterm labor:Tocolytic agent: "Uterine contractions are common in patients with placenta previa. Since uterine contractions have the potential to, disrupt the placental attachment and aggravate the bleeding, most obstetricians favor the use of tocolytic agents in the expectant management of patient with placenta previa". High risk pregnancy Fernando ariasMost commonly used tocolytics in case of placenta previa.-Nifedipine-Magnesium sulphateTocolytics which are not used-Terbutaline and Ritodrine: They cause tachycardia and make the assessment of patient's pulse rate unreliable.-Indomethacin: It causes inhibition of platelet cyclo-oxygenase system and prolongs the bleeding time.